Anastrazole belongs to which class of drug -
1. Estrogen receptor down regulators (SERDs)
2. Selective estrogen receptor modulators (SERMs)
3. Selective tissue estrogenic activity regulator (STEAR)
4. Aromatase inhibitors

Correct answer: 4. Aromatase inhibitors

Explanation: Ans. is 'd' i.e., Aromatase inhibitors Drugs commonly used in hormone (estrogen) receptor positive breast cancero SERMs:- Tamoxifen, tromifeneo SERDs:- Fulvestranto Aromatase inhibitors:- Letrozole, anastrazole, exemestone.